The immediate treatment of 10 kg weight infants presented with tetany –
1. IV Diazepam
2. IV calcium gluconate with cardiac monitoring
3. IV slow phenobarbitone
4. Wait and watch

Correct answer: 2. IV calcium gluconate with cardiac monitoring